A 30 year old patient underwent resection of mandible for the treatment of ameloblastoma. The best graft is
1. Free iliac crest graft
2. Free vascularized iliac crest graft
3. 6th rib.
4. Allograft of the bone

Correct answer: 2. Free vascularized iliac crest graft